A 40-year old Lady presents with unilateral dermatonic distribution of vesicular eruptions. associated with severe pain. The most likely diagnosis is
1. Herpes zoster
2. Chicken pox
3. Recurrent herpes simplex infection
4. Infectious mononucleosis

Correct answer: 1. Herpes zoster